Axial length of eye ball is:
1. 16 mm
2. 20 mm
3. 24 mm
4. 28 mm

Correct answer: 3. 24 mm

Explanation: Ans. C: 24 mm The eye of the newborn is hypermetropic and the average axial length is about 18mm.At the age of 3 years it is 23 mm and from age 3-14 years it increases by 1 mm. In the emmetropic eye, the axial length (from the posterior corneal surface to the retina) varies from 22 to 26 millimeters. In the emmetropic eye (which has no refractive error), the range of corneal refracting power is between 39 and 48 diopters, while the range of lenticular refracting power is between 15 and 24 diopters.